The vitamin present in the fatty acid synthase complex is
1. Thiamine
2. Folate
3. Pantothenate
4. Pyridoxine

Correct answer: 3. Pantothenate

Explanation: Fatty acid synthase: In yeast, mammals, and birds, the synthetase enzyme system is called the fatty acid synthase complex--it is a multienzyme complex. It is made up of an ellipsoid dimer of two identical polypeptide monomeric units (monomer I and II), arranged in a "head to tail" fashion. Each monomeric unit contains six enzymes and an ACP molecule (Acyl carrier protein). Active Site * The ACP has an -SH group in the 4-phosphopantetheine moiety, referred as Pantothenic-SH (Pan-SH) * Another active -SH group present in the cysteine moiety of the enzyme ketoacyl synthase (condensing enzyme), referred as cysteinyl-SH (Cys-SH). The "Pan-SH" of one monomeric unit is in close proximity to the "Cys-SH" group of other monomeric unit and vice-versa.Ref: MN Chatterjea Textbook of Medical Biochemistry, 8th edition, page no: 414